Ministry covering ESI:
1. Ministry of health
2. Ministry of Home
3. Ministry of Human Resource Development
4. Ministry of Labour

Correct answer: 4. Ministry of Labour

Explanation: ESI act is an important measure of social security and health insurance in India. Administration: The Union Ministry of Labour is the Chairman of ESI corporation. Secretary to Govt. of India Ministry of Labour is Vice-Chairman of ESI.